Number of permanent teeth at 8 years:
1. 6
2. 8
3. 12
4. 16

Correct answer: 3. 12

Explanation: Ans. C. 12ToothLateral incisor (upper)Eruption7 to 9 monthsLateral incisor (lower)10-12 monthsFirst molar12 to 14 monthsCanine17 to 18 monthsSecond molar20 to 30 months ToothFirst molarEruption6 to 7 yearsCentral incisor6 to 8 yearsLateral incisor7 to 9 yearsFirst bicuspid9 to 11 yearsSecond bicuspid10 to 12 yearsCanine11 to 12 yearsSecond molar12 to 14 yearsThird molar17 to 25 years (17-21 in Parikh 6th/2. 7)